Allopurinol prevents conversion of : a) Hypoxanthine to xanthine b) Xanthine to hypoxanthine c) Hypoxanthine to I.M.P. d) Xanthine to uric acid
1. ab
2. cd
3. ad
4. bd

Correct answer: 3. ad

Explanation: Xanthine oxidase catalyses the conversion of hypoxanthine to xanthine as well as xanthine to uric acid. This enzyme is inhibited by allopurinol.